Major bacterial enzyme responsible for putrefaction:
1. Hyaluronidase
2. Lecithinase
3. Metalloproteinase
4. Collagenase

Correct answer: 2. Lecithinase

Explanation: Ans. Lecithinase